Best antagonist of morphine is
1. Nalorphine
2. Naloxone
3. Buprenorphine
4. Pentazocine

Correct answer: 2. Naloxone

Explanation: B i.e. Naloxone